The pontic that should be used in the posterior mandibular area is:
1. Modified saddle.
2. Saddle.
3. Sanitary.
4. Bullet shaped.

Correct answer: 3. Sanitary.